Temporary hardness of water is due to presence of:
1. Calcium bicarbonate
2. Magnesium sulphate
3. Calcium sulphate
4. Calcium nitrate

Correct answer: 1. Calcium bicarbonate

Explanation: Hardness of water is classified as carbonate or non carbonate. The carbonate hardness is also known as temporary hardness. It is caused due to presence of calcium and magnesium bicarbonate. The non carbonate hardness is also known as permanent hardness. It is caused by calcium and magnesium sulphates, chlorides and nitrates. Ref: Park 21st edition, page: 671.